A washerman presents with thickness erosion & discolouration of web spaces of toes diagnosis is:
1. Psoriasis
2. Tinea Unguum
3. Both
4. Candidiasis

Correct answer: 4. Candidiasis

Explanation: D i.e Candidiasis